SACH Foot all are true except:
1. Solid ankle cushion heel
2. Prosthesis
3. Squatting is easy
4. Does not look like a normal foot

Correct answer: 3. Squatting is easy

Explanation: (c) Squatting is easy- SACH foot does not allow ankle movements (required for squatting), subtalar movements (inversion and eversion movements for walking on uneven grounds). Hence more suitable for western lifestyle and in Jaipur foot these movements are permitted. Hence more suitable for Indian scenario also Jaipur foot is appropriate for walking barefoot and SACH foot barefoot is not possible